In post-hepatic jaundice, the concentration of conjugated bilirubin in the blood is higher than that of unconjugated bilirubin
because
1. There is an increased rate of destruction of red blood cells
2. The conjugation process of bilirubin in liver remains operative without any interference
3. The unconjugated bilirubin is trapped by the bile stone produced in the bile duct
4. The UDP- glulcuronoyltransferase activity is increased manifold in obstructive jaundice

Correct answer: 2. The conjugation process of bilirubin in liver remains operative without any interference

Explanation: Jaundice can be divided into 3 types on the basis of etiology-
• Prehepatic jaundice The cause of jaundice is increased production of bilirubin for example-
all causes which lead to increased hemolysis of RBCs ieHereditary spherocytosis Sickle cell anemia Thalassemia Malaria Drugs such as Methyl dopa*, quinine* etc.
this would lead to an unconjugated hyperbilirubinemia Hepatic Jaundice Here the cause lies within the hepatocytes either a defect in the conjugated
process or in the excretion of conjugated bilirubin into the bile for exampleall causes of hepatitis whether infection, alcohol, drugs,
toxins or autoimmune congenital hyperbilirubinemia Post Hepatic jaundice Here the cause is the obstruction of the excretion of bile into the intestines.
for example stone in CBD carcinoma in bile duct Pancreatic cancer etc. Thus as seen in post-Hepato hepatic jaundice the hepatocytes are unaffected.
They continue their conjugation process without any interference leading to rise of conjugated bilirubin in blood